For NRR to be 1 couple protection rate should be?
1. 50%
2. 60%
3. 55%
4. 75%

Correct answer: 2. 60%

Explanation: Couple Protection Rate (CPR) is an indicator of the prevalence of contraceptive practice in the community the percentage of eligible couples effectively protected against childbirth by one or the other approved methods of family planning sterilization iud,condom, ocp NRR = 1 can be achieved only if the CPR > 60% ref : park text book 21st ed